Which of the following is not true of a fixed appliance
1. Economical
2. Rotation and extrusion movements are possible
3. Patient co-operation is not required
4. Tipping and bodily movement are possible

Correct answer: 1. Economical